Ptosis indicates paralysis of which cranial nerve?
1. 3rd
2. 5th
3. 4th
4. 6th

Correct answer: 1. 3rd

Explanation: I-Congenital ptosis-from birth to 1 yr II.Acquired ptosis includes: 1. Neurogenic ptosis- 3rd nerve palsy ;A/w Horner's syndrome 2. Myogenic ptosis- seen in mysthenia gravis ,myotonic dystrophy 3.Aponeurotic ptosis/involution/senile ptosis-present in old people;aponeurosis of LPS is damaged 4. Mechanical ptosis-due to inflamation / tumours PTOSIS OF RIGHT EYE NOTE- Among all cases of ptosis, congenital ptosis is the most common type which seems to be more prevalent in males. Simple congenital ptosis is the most prevalent form of congenital ptosis